Best radiographic view for fracture of C1, C2 vertebrae is -
1. AP view
2. Odontoid view
3. Lateral view
4. Oblique view

Correct answer: 2. Odontoid view

Explanation: Best radiographic view for fracture of C1, C2 vertebrae is - odontoid view